Coronary ligaments of the knee joint connect ?
1. Menisci to tibia
2. Menisci to femur
3. Lateral meniscus to capsule
4. Anterior horns of both menisci

Correct answer: 1. Menisci to tibia

Explanation: CORONARY LIGAMENT * Fibrous Capsule is attached to periphery of Menisci. * Connects the periphery of the menisci to the tibia * They are the portion of the capsule that is stressed in rotary movements of the knee ref : maheswari 9th ed